Normal portal vein pressure is -
1. 0-5 mmHg
2. 5-10mmHg
3. 10-15 mmHg
4. 15-20 mmHg

Correct answer: 2. 5-10mmHg

Explanation: Ans. is 'b' i.e., 5-10 mmHg o Normal portal vein pressure in 5-10 mmHg